Which of the following drugs does not cause hypo gycemia:
1. Acarbose
2. Insulin
3. Glimepride
4. Nateglinide

Correct answer: 1. Acarbose

Explanation: s Acarbose are alpha glucosidase inhibitor. It reduce intestinal absorption of carbohydrates by inhibiting the Enzyme alpha glucosidase. It reduce postprandial hyperglycemia. It is a mild antihyperglycemic drug and not a hypoglycemic drug. Hypoglycemic drugs- sulfonylureas, glinides (REF.Essential of medical pharmacology K D TRIPATHI 6 Edition. Page no. 270)